In osteosynthesis all are used except:
1. Lag screw
2. Wires
3. Clampy bone plate
4. Eyelet wiring

Correct answer: 4. Eyelet wiring